Which of the following drug has been used in the treatment of angina by the inhalation route with very rapid onset and short duration of action?
1. Isosorbide dinitrate
2. Isosorbide mononitrate
3. Amyl nitrite
4. Nitroglycerin

Correct answer: 3. Amyl nitrite

Explanation: Amyl nitrite: It is the only organic nitrite that was used for angina pectoris. Inhaled amyl nitrite rapidly dilated both veins and arteries, including coronaries, and produced throbbing headache. Like nitrates, it also needs conversion to a NO species, but the enzymatic mechanism has not been elucidated. Nitrate-like rapid tolerance has not been observed with amyl nitrite.
Reference: Essentials of Medical Pharmacology Eighth Edition KD TRIPATHI page no 544